Which of the following dopamine agonists used in treatment of parkinsonism is available as a transdermal patch but not oral formulation?
1. Apomorphine
2. Ropinirole
3. Rotigotine
4. Pramipexole

Correct answer: 3. Rotigotine

Explanation: Both ropinirole and pramipexole are available as orally administered immediate (tid) and extended-release (qd) formulations. Rotigotine is administered as a once-daily transdermal patch, and may be useful in managing surgical patients who are NPO. Apomorphine is a dopamine agonist with efficacy comparable to levodopa, but it must be administered parenterally as it is rapidly and extensively metabolized if taken orally. Ref harrison 20th edition page 3127